Most common cause of acute otitis media?
1. H. influenza
2. Strep. Pneumoniae
3. Staph aureus
4. Pseudomonas

Correct answer: 2. Strep. Pneumoniae

Explanation: The most common causative organism is Streptococcus pneumonia. Other common organisms are H. influenza and Moraxella catarrhalis. Less common causative organisms are streptococcus pyogenes, staphylococcus aureus and E.coli.Ref: PL Dhingra, Diseases of Ear, Nose & Throat, 7th edition, pg no. 67 - 68